False regarding Type A personality:
1. Hostile
2. Time pressure
3. Competitiveness
4. Mood fluctuations

Correct answer: 4. Mood fluctuations

Explanation: Type A personality Competitive Time urgency Hostility Anger *Increase chance coronary artery disease Type B personality Relaxed Not competitive Type D personality Negative affectivity Social inhibition Increase susceptibility to coronary artery disease